Rapid method of chromosome identification in intersex is
1. FISH
2. PCR
3. SSCP
4. Karyotyping

Correct answer: 1. FISH

Explanation: Fluorescence in situ hybridization(FISH) is a cytogenetic technique that uses fluorescent probes that bind to only those parts of the chromosome with a high degree of sequence complementarity. It was developed by biomedical researchers in the early 1980s and is used to detect and localize the presence or absence of specific DNA sequences on chromosomes.